Blow out expansile bone metastasis is seen with?
1. Renal cell Carcinoma
2. Bronchogenic carcinoma
3. Breast carcinoma
4. Prostrate carcinoma

Correct answer: 1. Renal cell Carcinoma

Explanation: Expansile Bone Metastasis / Blow Cut bone metastasis are typically seen in Renal Cell Carcinoma Thyroid Cancer Hepatocellular Carcinoma Above radiograph shows an expansive bone metastasis is seen in distal end of femur in case of RCC. Cookie Bite Metastases are characterized by eccentric lytic cortical destruction in long tubular bones, typically seen in bronchogenic carcinoma. Prostrate cancer is most common cause for sclerotic bone metastasis. Breast cancer produces mixed lytic and sclerotic lesions.